In alcohol withdrawal, drug of choice is-
1. TEP
2. Chlormethazole
3. Chlordiazepoxide
4. Buspirone

Correct answer: 3. Chlordiazepoxide

Explanation: Benzodiazepines are the drug of choice in alcohol withdrawal. If the question asks you to chose a specific benzodiazepine, the best choice would be chlordiazepoxide.